Fibroblast is derived from-
1. Macrophage
2. Endothelium
3. Vessels
4. Local mesenchyme

Correct answer: 4. Local mesenchyme

Explanation: o Fibroblasts produce the glycosaminoglycans, collagens, elastic fibers, reticular fibres and glycoproteins that can be seen in the extracellular matrix. They also produce cytokineTSLP.
o Fibroblasts are originally derived from primitive mesenchyme and therefore display the filament protein vimentin, which acts as a marker of mesodermal origin.
o Inactive fibroblasts are called fibrocytes. When tissue damage has occurred, the fibrocytes are stimulated to undergo mitosis or multiplication by replication and division.
o Transforming growth factor P induces proliferation offibroblasts. It is chemotactic for fibroblasts